Transfusing blood after prolonged storage could lead to -
1. Citrate intoxication
2. Potassium intoxication
3. Circulatory overload
4. Haemorrhagic diathesis

Correct answer: 2. Potassium intoxication